Leiden factor is -
1. Factor VI
2. Factor VIII
3. Factor IV
4. Factor V

Correct answer: 4. Factor V

Explanation: Approximately 2% to 15% of whites carry a specific factor V mutation (called the Leiden mutation, after the Dutch city where it was first described). The mutation alters an amino acid residue in factor V and renders it resistant to protein C. Thus, an important antithrombotic counter-regulatory mechanism is lost. Heterozygotes carry a 5-fold increased risk for venous thrombosis, with homozygotes having a 50-fold increased risk. ( Robbins Basic Pathology, 9 th edition, page 87 )